Which virus can cause hemorrhage -
1. Parvovirus
2. Adenovirus
3. HPV
4. Coronavirus

Correct answer: 2. Adenovirus

Explanation: Adenovirus causes Acute hemorrhagic cystitis in children and generalized exanthem. REF:ANANTHANARAYAN AND PANIKER'S TEXTBOOK OF MICROBIOLOGY 9TH EDITION PAGE NO:482